Most important inflammatory mediator?
1. TNF
2. IL-2
3. Interferon
4. PAF

Correct answer: 1. TNF

Explanation: Tumour necrosis factor is the most important inflammatory mediator since it induce other cytokines as well Reff: Ananthanarayan & Panikers textbook of microbiology 9th edition pg: 155